Lardaceous spleen is due to deposition of amyloid in :
1. Sinusoids of red pulp.
2. White pulp.
3. Pencilary artery.
4. Splenic trabeculae.

Correct answer: 1. Sinusoids of red pulp.

Explanation: Ans. is 'a' i.e. Sinusoids of red pulp.